Steroid receptor regulatory protein:
1. Zinc finger
2. Heliz-turn -helix
3. Leucine zippor
4. RNA

Correct answer: 1. Zinc finger

Explanation: A i.e. Zinc finger